'JSY' stands for:
1. Janani Suraksha Yojana
2. Jeevan Swastha Yojna
3. Jan Sewa Yojna
4. Jan Suraksha Yojna

Correct answer: 1. Janani Suraksha Yojana

Explanation: JSY is an abbreviation for Janani Suraksha Yojana. It is a new initiative by the RCH - phase II (Reproductive and Child Health programme) which began from 1st April, 2005. The National Maternity Benefit Scheme has been modified into this new scheme called Janani Suraksha Yojana which was launched on 12th April, 2005. Ref: Park's Textbook of Preventive and Social Medicine, 19th Edition, Pages 370-372.